Which among the following is human Insulin analogue?
1. Lispro
2. Regular
3. NPH insulin
4. Lente insulin

Correct answer: 1. Lispro

Explanation: Ultra-sho acting like lispro, aspart, glulysine., long acting like glargine, determir, degludec is human insulin ANALOGUES They are ultra short acting and ultra long acting and have very less risk of hyoglycemia and can be take just before a meal unline the regular insulins available . Ref: KD Tripathi 8th ed.